Which of the following are the phagocytic cells in CNS?
1. Mioroglia
2. Astrocytes
3. Oligodendrocytes
4. None of the above

Correct answer: 1. Mioroglia

Explanation: Microglia or Gitter cells are a type of glial cell that are the resident macrophages of the brain and spinal cord. Astrocytes arestar-shaped glial cells in the brain and spinal cord. They are the most abundant cell of the human brain. They support endothelial cells that form the blood-brain barrier, provide nutrients to the nervous tissue, maintain extracellular ion balance, and repair the scarring process of the brain and spinal cord following traumatic injuries. The principle function of oligodendrocytes is to provide support to axons and to produce the Myelin sheath, which insulates axons.